All are seen in Behchets syndrome except
1. Genital Ulcers
2. Uveitis
3. Oral Ulcers
4. Pyoderma gangrenosum

Correct answer: 4. Pyoderma gangrenosum

Explanation: In Behcets disease there is mucocutaneous manifestation including genital and oral ulcers. Extra cutaneous manifestation includes ocular manifestation, arthritis, neurological manifestation,pulmonary and cardiac involvement and intestinal ulcers. From illustrated synopsis of dermatology and sexually transmitted diseases neena khanna 5th edition page no 202,203